7-Methyl guanosine cap is present in:
1. mRNA
2. tRNA
3. rRNA
4. DNA

Correct answer: 1. mRNA

Explanation: Ref: Harper's Illustrated Biochemistry. 28th ed, ch. 36,pp-349Explanation:"The 52 cap is found on the 52 end of an mRNA molecule and consists of a guanine nucleotide connected to the mRNA via an unusual 52 to 52 triphosphate linkage. This guanosine is methylated on the 7position directly after capping in vivo by a methyl transferase. It is referred to as a 7-methylgu- anylate cap, abbreviated m G."Capping - 5' endAddition of modified nucleotide7-methylguanosine to 5' endGuanvl transferase & methyl transferase.FunctionsmRNA recognitionPromotion of 52 proximal intron excision.Prevention of degradation by exonucleases.Regulation of Nuclear Transport/ExportPromotion of translation & Stability